Dinesh, a 56-yr-aged man presents with complaints of the slowness of movements, postural instability, tremors, rigidity and memory loss. Most likely diagnosis is -
1. Multi infarct dementia
2. Alzheimer's disease
3. Parkinsonism
4. None of the above

Correct answer: 3. Parkinsonism